PFK-1 is inhibited by:
1. Insulin
2. Citrate
3. Glucose-6-phosphate
4. AMP

Correct answer: 2. Citrate

Explanation: PFK-1 (Phosphofructokinase-1) is the rate limiting enzyme of Glycolysis. Allosteric activators AMP ADP K+ Phosphate Fructose 2,6-bisphosphate Allosteric inhibitors ATP Citrate Ca ++ Mg ++ Low pH